A 10 month of child weighing 8kg has bitot spots in both eyes. Which of the following is the most appropriate schedule to prescribed vitamin A to this child -
1. 2 lakh units intramuscular (IM) on day 0, 14
2. 1 lakh units IM on day 0,14
3. 2 lakh units on day 0, 1 and 14
4. 1 lakh units on day 0, 1 and 14

Correct answer: 4. 1 lakh units on day 0, 1 and 14

Explanation: Vitamin A deficiency treatment: Vitamin A on days 1,2 and 14 each Age >12 months - 200,000 IU Age 6-12 months - 100,000 IU for age 0-5 months - 50,000 IU Ref: Guidelines for the inpatient treatment of severely malnourished children, WHO Pgno : 23